Pigment producing colonies are seen in-
1. Pseudomonas
2. Atypical mycobacteria
3. Serratia marcescens
4. All of the above

Correct answer: 4. All of the above